The milestones of a 3-year-old child are considered delayed if he is unable to:
1. Hop on 1 foot
2. Use spoon effectively
3. Copy a square
4. Reliably catch a ball

Correct answer: 2. Use spoon effectively

Explanation: b. Use spoon effectively(Ref: Nelson's 20/e p 75)Hop on 1 foot, copying a square & catching a ball reliably, comes at 48 m (4 yrs)A child is able to feed self at 18 months, but handles spoon effectively at 24 months (2 yrs)